All of the following are true about fibrolamellar HCC except:
1. Associated with raised AFP
2. Recurrences are seen despite of better prognosis
3. Increased neurotensin & vitamin B12 binding globulin
4. Lymph node metastasis is seen

Correct answer: 1. Associated with raised AFP

Explanation: Characteristic feature HCC Fibrolamellar variant of HCC Age 55 - 60 yrs 25-30yrs Sex Male>female Male = female HBV positivity 60-70% Rare Presence of Cirrhosis 90% Rare Tumor markers AFP PIVKA-2 NeurotensinVit B12 binding globulin Tumor Multicentric, bilobar & Invasive Well-Circumscribed Resectability Unresectable in 70-75% cases Resectable in 70-75% cases Prognosis Poor Good